Commonest inhibitory transmitter in the spinal cord is:
1. GABA
2. Glycine
3. Substance P
4. Aspartate

Correct answer: 2. Glycine

Explanation: GABA and glycine are the most common inhibitory transmitters in the CNS.